Which is the other name of anankastic personality disorder?
1. Schizotypal personality disorder
2. Obsessive compulsive personality disorder
3. Histrionic personality disorder
4. Avoidant personality disorder

Correct answer: 2. Obsessive compulsive personality disorder

Explanation: Ans. B. Obsessive compulsive personality disorderAnankastic means obsessive compulsive personality disorder. They are very rigid and stubborn.Obsessive-compulsive personality disorder (OCPD), also called anankastic personality disorder, is a personality disorder characterized by a pervasive pattern of preoccupation with orderliness, perfectionism, mental and interpersonal control at the expense of flexibility, openness, and efficiency. In contrast to people with obsessive-compulsive disorder (OCD), behaviors are rational and desirable to people with OCPD.OCPD is a chronic non-adaptive pattern of extreme perfectionism, preoccupation with neatness and detail, and a need for control or power over one's environment that causes major suffering and stress, especially in areas of personal relationships. Persons with OCPD are usually inflexible and controlling. They may find it hard to relax and must plan out their activities down to the minute. OCPD occurs in about 1% of the general population. It is seen in 3-10% of psychiatric outpatients.